Dilator pupillae is supplied by -
1. Post-ganglionic parasympathetic fibers from Edinger Westphal nucleus
2. Post-ganglionic sympathetic fibers from cervical sympathetic chain
3. IIIrd nerve
4. Sympathetic fibers from fronto-orbital branch of V nerve

Correct answer: 2. Post-ganglionic sympathetic fibers from cervical sympathetic chain

Explanation: Dilator pupillae muscle is suppliedby the postganglionic fibers arising from the cervical sympathetic chain. ... Oculomotor nerve supplies the skeletal as well as the smooth muscles of the eyeball. It carries the pre-ganglionic fibers from the Edinger-Westphal to supply two smooth muscles in the eyeball Ref AK khurana 6/e